In normal edge and centroid relationship
1. Edge and centroid are in one plane
2. Edge is in front of centroid
3. Edge is behind the centroid
4. None of the above

Correct answer: 2. Edge is in front of centroid